A 28 year old primigravida with 32 weeks of gestation comes with complain of thin, frothy, profuse discharge through the vagina since yesterday. She was advised USG which showed Single live intrauterine gestational sac with FL and AC corresponding to the weeks of gestation and AFI as adequate.What is the diagnosis?
1. PPROM
2. Trichomoniasis
3. Normal finding
4. Candidiasis

Correct answer: 2. Trichomoniasis

Explanation: Ans. is 'b' i.e., Trichomoniasis o Patients infected with Trichomonas vaginalis complain of a typical discharge, which is thin, profuse, frothy, irritating, creamy or slight green in colour.o Slight green colour of the discharge is often not complained by the patient but spotted by the physiciano The answer cannot be PPROM because the USG scan done following her complains shows liquor amnii to be adequate, whereas leaking per vaginum for 18 - 24 hours will cause reduction in the quantity of liquor around the fetus.Trichomoniasis:# Sexually transmitted disease.# Associated with other STDs, particularly gonorrhea.# NOT associated with infertility# Subepithelial haemorrhages produced give the appearance of strawberry spots on the vaginal vault and cervix, hence giving it the appearance of strawberry vagina and cervix, known as colpitis macularis.# In males it infects the urethra and prostate.# Diagnosis is confirmed by Microscopic examination of wet mount of discharge specimen which shows motile trichomonas.# Culture is Gold standard but is impractical as it requires special culture medium known as Diamond medium.# Treatment: Metronidazole or Tinidazole or Secnidazole.# Alternate drugs : Polyoxyethylene suppository.